Part of the RPD to which all other components are attached either directly or indirectly is called as
1. Major connector.
2. Minor connector.
3. Direct retainer.
4. Indirect retainer.

Correct answer: 1. Major connector.